Which is not supplied by pelvic splauchnic nerves?
1. Rectum
2. Urinary bladder
3. Appendix
4. Uterus

Correct answer: 3. Appendix

Explanation: Appendix Pelvic splanchnic nerves or nervi erigentes arise from the ventral rami of the S2-S4.The pelvic splanchnic nerves are motor to the smooth muscle of the rectum, anus and bladder wall but inhibitory to the vesical sphincter.They supply vasodilator fibres to the erectile tissue of the penis and and clitoris and are probably also vasodilator to the testes, ovaries, uterine tubes and uterus.They are visceromotor to the sigmoid and descending colon as far as the splenic flexure and distal transverse colon.